Which of the following is true about secondary hyperparathyroidism?
1. Commonly occurs in CRF
2. Related to hyperphosphatemia
3. Patients are generally hypocalcemic
4. All of the above

Correct answer: 4. All of the above

Explanation: SECONDARY HYPERPARATHYROIDISM-MC cause is Chronic renal failure-May occur in hypocalcemia secondary to inadequate calcium or vitamin D intake, or malabsorption.-Related to hyperphosphatemia (and resultant hypocalcemia)-Deficiency of 1,25-dihydroxy vitamin D due to loss of renal tissue-Low calcium intake-Decreased calcium absorption